False about glycolysis?
1. Net ATP from anaerobic glycolysis is 3 ATP
2. occurs in cytosol of all the cells
3. Net ATP from aerobic glycolysis is 7ATP
4. none of the above

Correct answer: 1. Net ATP from anaerobic glycolysis is 3 ATP

Explanation: Glycolysis takes place in cytosol of all the cells Glucose is converted to two 3-carbon units,pyruvate Net ATP from Aerobic glycolysis is 7 ATP Net ATP from anerobic glycolysis is 2 ATP 2 ATP molecules are utilised in glycolysis